Mechanism of action of progesterones in the medical management of endometriosis is?
1. Deccidualisation and endometrial atrophy
2. Prevention of retrograde menstruation
3. Thickening of cervical mucous
4. Prevention of ovulation

Correct answer: 1. Deccidualisation and endometrial atrophy

Explanation: Progesterones act by exerting an anti estrogenic effect and their continuous administration causes decidualisation and endometrial atrophy. The treatment over a period of 6 - 9 months produces a state of pseudopregnancy which ultimately causes regression of disease. It has no effect on ovulation Progestins used commonly are: Norethisterone Dydrogesterone Medroxyrogesterone acetate Mirena IUCD Dienogest